X-ray view for fracture patella
1. Skyline view
2. Judet view
3. Water's view
4. Oblique view

Correct answer: 1. Skyline view